Investigation preferred to Confirm intrauterine device in place with missing strings of IUD?
1. Pelvic X-ray
2. USG
3. CT-Abdomen
4. MRI-Pelvis

Correct answer: 2. USG

Explanation: - Ultrasound Preferred modality for assessing an IUD Properly placed IUD may be visualized as a straight hyper echoic structure in the endometrial canal of the uterus and the arms of the IUD extending laterally at the uterine fundus. - Ultrasound is appropriate for initial evaluation and can provide answers to clinical questions related to the IUD. - It easily helps determine whether an IUD is correctly positioned and can often help identify IUD related complications. - Three dimensional (3D) US is gaining recognition for its role in imaging IUDs.